The extrinsic pathway of clotting is activated by
1. Release of tissue thromboplastin
2. Conversion of fibrinogen into fibrin
3. Formation of prothrombin
4. Release of calcium

Correct answer: 1. Release of tissue thromboplastin

Explanation: The extrinsic system is triggered by the release of tissue thromboplastin, a protein–phospholipid mixture that activates factor VII.